Alternative oxidative pathway for glucose:
1. Glycogenolysis
2. Gluconeogenesis
3. Glycogenesis
4. Glucuronic acid pathway

Correct answer: 4. Glucuronic acid pathway

Explanation: Uronic Acid PathwayThis is the alternate oxidative pathway for glucose metabolism.Glucose is converted to glucuronic acid, ascorbic acid and pentosesIn some animals including man, ascorbic acid is not produced.Glucuronic acid is converted to gluconic acid, which is ultimately converted to L-xylulose